All are true about gastric carcinoma except:
1. More in low socioeconomic group
2. Most common at fundus
3. H. pylori infection increases risks
4. Vitamin C protects

Correct answer: 2. Most common at fundus

Explanation: MC site of carcinoma stomach is antrum not the fundus.